Acute lead poisoning in children commonly presents with all of the following features except -
1. Encephalopathy
2. Cerebellar Ataxia
3. Status epilepticus
4. Peripheral neuropathy

Correct answer: 4. Peripheral neuropathy

Explanation: Ans is 'd' i.e., Peripheral Neuropathy Acute lead poisoning The most serious manifestation of lead poisoning in children is ACUTE ENCEPHALOPATHY. Encephalopathy includes ? o Persistant vomiting o Papilloedema o Lethargy o Impaired consciousness and coma o Ataxia o Seizures o Irratibility Peripheral Neuropathy which is common in adults is rarely seen in children except with those of sickle cell disease.